A housewife ingests a rodenticide white powder accidentally. She is brought to hospital where the examination shows generalized, flaccid paralysis and an irregular pulse. ECG shows multiple ventricular ectopics, generalized changes with ST. Serum potassium is 2.5 mE/1. The most likely ingested poison is -
1. Barium carbonate
2. Superwarfarins
3. Zinc phosphide
4. Aluminium phosphide

Correct answer: 1. Barium carbonate